Normal pregnancy can be continued in
1. Primary pulmonary hypertension
2. Wolf-Parkinson-White syndrome
3. Eisenmenger syndrome
4. Marfan syndfome with dilated aortic root

Correct answer: 2. Wolf-Parkinson-White syndrome

Explanation: Heart disease in which Termination of pregnancy is advised Pulmonary hypertension- primary or secondary Marfans syndrome with aorta involvement Eisenmenger syndrome Any heart disease which belongs to NYHA Class 3 or 4 Ejection fraction < 40% Severe aortic stenosis or Severe mitral stenosis Previous peripartum cardiomyopathy with any residual impairment of LV function ABSOLUTE INDICATIONS FOR TERMINATION OF PREGNANCY Pulmonary HTN Eisenmenger's Syndrome Pulmonary veno-occlusive disease. Reference: William's Obstetrics; 24th edition; Chapter 49 Reference: DC.Duttas textbook of OBG,9th edition,page 259